Joint between epiphysis and diaphysis of a long bone is a type of
1. Plane Synovial joint
2. Fibrous joint
3. Symphysis
4. Synchondrosis

Correct answer: 4. Synchondrosis

Explanation: D. i.e. Synchondrosis